Minamata disease in Japan is caused by toxicity of
1. Mercury
2. Arsenic
3. Lead
4. Silver

Correct answer: 1. Mercury

Explanation: (A) Mercury > Minamata disease (Chisso-Minamata disease), is a neurological syndrome caused by severe mercury poisoning. Symptoms include ataxia, numbness in the hands and feet, general muscle weakness, narrowing of the field of vision and damage to hearing and speech. In extreme cases, insanity, paralysis, coma and death follow within weeks of the onset of symptoms. A congenital form of the disease can also affect fetuses in the womb.